All the following gives nerve supply to Parotid gland except
1. Facial nerve
2. Auriculotemporal nerve Tympanic plexus
3. Sympathetic plexus around external carotid artery
4. Greater auricular nerve

Correct answer: 1. Facial nerve

Explanation: Nerve Supply of Parotid gland:1.Parasympathetic nerves are secretomotor. They reach the gland through the auriculotemporal nerve. The preganglionic fibers begin in the inferior salivatory nucleus; pass through the glossopharyngeal nerve, its tympanic branch, the tympanic plexus and the lesser petrosal nerve; and relay in the otic ganglion. The postganglionic fibers pass through the auriculotemporal nerve and reach the gland.2.Sympathetic nerves are vasomotor and are derived from the plexus around the external carotid artery.3.Sensory nerves to the gland come from the auriculotemporal nerve, but the parotid fascia is innervated by the sensory fibers of the great auricular nerve (C2).The facial nerve passes through gland but doesn't supply it.Reference: Chourasia; 6th edition; 110 and 111 pages